Renal vein thrombosis is most commonly associated with
1. Diabetic nephropathy
2. Membranous glomerulopathy
3. Minimal change disease
4. Mesangio-proliferative glomerulonephritis

Correct answer: 2. Membranous glomerulopathy

Explanation: Renal Vein Thrombosis(RVT):The left renal vein is more commonly involved and two-thirds of cases are bilateralEtiology: 1. endothelial damage-Homocystinuria, endovascular intervention, and surgery 2. Venous stasis-Dehydration, retroperitoneal fibrosis and abdominal neoplasms(compression and kinking of the renal veins) 3. hypercoagulable states-proteins C and S, antithrombin deficiency, factor V Leiden, disseminated malignancy, oral contraceptives, APLA, nephrotic syndrome(membranous nephropathy) It can either present with flank pain, tenderness, hematuria, rapid decline in renal function, and proteinuria or it can be silentDiagnostic screening can be performed with Doppler ultrasound; the most sensitive test is CT angiographyTreatment for RVT is anticoagulation and therapy for the underlying cause; Endovascular thrombolysis may be used; Nephrectomy in life-threatening complicationsRef: Harrison's 18/e p2382